Which among the following about removable space maintainers are wrong?
1. Being tissue born, they impose less stress on the remaining teeth
2. By virtue of tissue stimulation they often accelerate the eruption of teeth between them
3. They can be functional in the truest sense, hence better patient co-operation can be expected
4. Easier to fabricate, requiring less chair-side time

Correct answer: 3. They can be functional in the truest sense, hence better patient co-operation can be expected

Explanation: The compliance of the removable appliance doesn’t improve with functional or non-functional type.